Sequence of vesicle transport is
1. ER -3 Trans --> Cis -3 lysosome
2. ER --> Cis --> Trans --> Cell membrane
3. ER --> Lysosome --> Trans --> Cis
4. Cis -3 ER --> Trans --> Cell membrane

Correct answer: 2. ER --> Cis --> Trans --> Cell membrane

Explanation: B i.e. ER-+Cis-+Trans--+Cell membrane Golgi apparatus serves as a unique sorting & packing deviceQ, that receives newly synthesized proteins, all containing signal or transit peptide from endoplasmic retinaculum. It rejects proteins with no signal or transit peptide without processing and that remain as cytoplasmic protein. Golgi complex (apparatus) / Dictyosome It is a collection of smooth membrane enclosed sacs (cisterns) that are stalked like dinner plates, usually near the nucleus. It has membrane similar to those of smooth ER. It is usually composed of ..4 stalked layers of 6 sacs in each apparatus It is a polarized structure with a cis (proximal) and trans (distal) sidesQ